Which of the following is NOT TRUE regarding PROPOFOL ?
1. It is used in day care anesthesia
2. It is contraindicated in porphyria
3. Commercial preparation contains egg extract
4. It does not cause airway irritation

Correct answer: 2. It is contraindicated in porphyria

Explanation: Ketamine is safe in porphyria.